Recommended daily allowance of vitamin C in children is:
1. 40 mg/d
2. 60 mg/d
3. 100 mg/d
4. 150 mg/d

Correct answer: 1. 40 mg/d

Explanation: Ans: a (40 mg/d) Ref: Park, 19th ed, p. 506; Table- 32Please go through the Table given next page. It is very important.You can expect 2-3 questions from this table in every exam that you write.RDA for IndiansGroupParticularsNet energy Kcal/dProtein g/dVit. A (Retinol) mg/dVit .C mg/dFolic acid pg/dVit B l2 pg/dManSedentary work242560600401001 Moderate work2875 Heavy work3800 WomanSedentary work187550600401001 Moderate work2225 Heavy work2925 Pregnancy+300+15600404001 Lactation 0-6+550+25 Months 6-12 950801501.5 Months+400+ 18 Infants 0-6 Months108/kg2.05/kg35025250.26-12 Months98/kg1.65/kg Children1-3 years124022400 30 4-6 years169030400 40 7-9 years19504160040600.2-110-12 yearsBoys219054 Girls19705760040700.2-113-15 yearsBoys245070 Girls206065600401000.2-116-18 yearsBoys264078 Girls206063600401000.2-1RDA of Vit.D* Adults-100IU* Infants and children-200 IU* Pregnancy and lactation-400 IU